All the following are feature of picks diseases except-
1. Knife blade atrophy
2. Walnut brain
3. Ballooning degeneration
4. Hirano bodies

Correct answer: 4. Hirano bodies

Explanation: Hirano bodies are seen in Alzheimer's disease

Picks disease 

Pick disease (lobar atrophy) is a progresive dementia characterized clinically by early onset of behavioural changes together with alteraton in personality (frontal lobe signs) and language disturbances (temporal lobe sign).
Pathological findings in Pick disease
Assymetric atrophy of the frontal and temporal lobes.
Sparing of the posterior two third of superior temporal gyrus, parietal and occipital lobes.
Atrophy can be severe, reducing the gyri to a thin wafer → Knife-edge appearance.
Bilateral atrophy of caudate nucleus and putamen.
Pick cells (balloned neurons) surviving neurons show characteristic swelling or contain pick bodies, which are cytoplasmic, round to oval, filamentous inclusions that stain strongly with silver methods (argyrophilic).
Pick bodies are composed of tau, straight filament and vesiculated endoplasmic reticulum.